Which has worst prognosis in CLL?
1. 11q Deletion
2. 12q Trisomy
3. 17p Deletion
4. 13q Deletion

Correct answer: 3. 17p Deletion

Explanation: 13q deletion : Indolent course ; good prognosis Trisomy 12 : Intermediate prognosis 11q deletion : Poor prognosis 17p deletion : Poorest prognosis